A 45 year old female complaints of lower abdominal pain and vaginal discharge. On examination there is cervicitis along with a mucopurulent cervical discharge.The best approach to isolate the possible causative agent would be -
1. Culture chocolate agar supplemented with Haemin
2. Culture on McCoy cells
3. Culture on a bilayer human blood agar
4. Culture on vero cell lines

Correct answer: 2. Culture on McCoy cells